FALSE about Open Angle Glaucoma is
1. Mild to moderate increase in IOP
2. Shallow Anterior chamber
3. Progressive peripheral visual field loss
4. Cupping of optic disc

Correct answer: 2. Shallow Anterior chamber

Explanation: (B) Shallow Anterior chamber # OPEN-ANGLE GLAUCOMA:> is an optic neuropathy characterized by progressive peripheral visual field loss followed by central field loss, in a characteristic pattern.> Usually but not always in the presence of elevated intraocular pressure (IOP), perhaps in part related to increased aqi eousproduction and decreased outflow.> Optic nerve or "disc"takes on a hollowed-out appearance on ophthalmoscopic examination, which is described as "cupping."> Cupping is associated with the loss of ganglion cell axons.# Angle-closure glaucoma:> is characterized by narrowing or closure of the anterior chamber angle.> Normal anterior chamber angle provides drainage for the aqueous humor (the fluid that fills the eyeball).> When this drainage pathway is narrowed or closed, inadequate drainage leads to elevated intraocular pressure and damage to the optic nerve.> Acute angle-closure glaucoma occurs in eyes with a certain anatomical predisposition.> It presents as a painful red eye and must be treated within 24 hours to prevent permanent blindness.